Bronchogenic cysts occur commonly in-
1. Posterior mediastinum
2. Superior mediastinum
3. Carina
4. Periphery of lung.

Correct answer: 3. Carina

Explanation: Bronchogenic cysts 

Bronchogenic cyst is a congenital lung defect, which develops from abnormal lung budding of primitive foregut.
Most of the bronchogenic cyst arises in the mediastinum, where they are usually located in the mid mediastinum near carina. 
About 15% of Bronchogenic cyst also occurs in pulmonary parenchyma.
When located in the lung they are more common in right lung and lower lobe.
They are lined by cuboidal or ciliated columnar epithelial cells and are usually filled with mucoid material.